A 3-month-old child has a typical mewing cry and a congenital heart disease. The most probable chromosomal abnormality is:
1. 5q-
2. 5p-
3. 4p-
4. 9p-

Correct answer: 2. 5p-

Explanation: --> Cat cry with congenital heart disease in an infant suggests Cri du chat syndrome CRI DU CHAT SYNDROME: Caused d/t Chromosome 5p deletion. Hence called as 5p minus syndrome Aka Cat Cry Syndrome --> as these infants presents with high-pitched cry that sounds like that of a cat. Associated with VSD, PDA, ASD